Cadmium can cause all cancer except ?
1. Lung
2. Pancreas
3. Prostate
4. Skin

Correct answer: 4. Skin

Explanation: Ans. is 'd' i.e., Skin